Detoxification of drugs is controlled by -
1. Cytochrome
2. Cytochrome p450
3. Cytochrome C
4. Cytochrome A

Correct answer: 2. Cytochrome p450

Explanation: Ans. is 'b' i.e., Cytochrome p450 o Cytochrome p450 enzymes are microsomal enzymes that are involved in phase I metabolism of many drugs,o Most of the drugs are metabolized by CYP 3 A4 isoform.Drug metabolizing enzymeso The drug metabolizing enzymes are divided into two types :MicrosomalThese are located on smooth endoplasmic reticulum primarily in liver, also in kidney, intestinal mucosa and lungs.Examples are monooxygenase, cytochrome P450, glucronyl transferase.They catalyze most of the oxidation, reduction, hydrolysis and glucuronide conjugation.They are inducible by drugs, diet and other agencies.Non microsomalThese are present in the cytoplasm and mitochondria of hepatic cells as well as in other tissues including plasma.Examples are flavoprotein oxidase, esterases, amidases and conjugases.They catalyze some oxidation and reduction, many hydrolysis and all conjugation except glucuronidation.They are not inducible but many show genetic polymorphism (acetyl transferase, pseudocholinesterase).